In which of the following conditions fluid levels are NOT seen?
1. Meconium ileus
2. Intussusception
3. Colon pouch
4. Duodenal obstruction

Correct answer: 1. Meconium ileus

Explanation: "In meconium ileus, meconium is so thick that it is unable to form air fluid level despite complete small intestinal obstruction". Ref: Bailey & love 25/e, Page 1199; schwartz 9/e, Page 1429.